20 year old patient presents with hypokalemia, alkalosis with normal blood pressure and no edema. the diagnosis is
1. Bartter syndrome
2. Liddle syndrome
3. Glucocorticoids remediable aldosteronism
4. Apparent mineral ocorticoid excess syndrome

Correct answer: 1. Bartter syndrome

Explanation: It is characterized by hypokalemia , alkalosis, high rennin level and hypercalciuria , but with normal blood pressure and no edema.
This is due to mutation Na-k-cl co transporter gene , usually begins in childhood.